Insulin decreases:
1. Glucose uptake
2. Glycogen synthesis
3. Protein synthesis
4. Lipolysis

Correct answer: 4. Lipolysis

Explanation: Lipolysis